A farmer is found convulsing in the farm. Diarrhea, sweating and urination are apparent. Pupils are pin point. Drug poisoning is suspected. Most probable cause is:
1. Acetaminophen overdose
2. Amphetamine toxicity
3. Organophosphate poisoning
4. Atropine poisoning

Correct answer: 3. Organophosphate poisoning

Explanation: Ans. C. Organophosphate poisoningThese are characteristic features of anti-cholinesterase (organophosphate and carbamate) poisoning.A. Symptom due to muscarinic actions: (DUMBELS)* Diarrhoea, Diaphoresis* Urination* Miosis* Bronchoconstriction* Excitation CNS* Lacrimation,* SalivationB. Symptom due to nicotinic action:Skeletal muscle fasciculations, weakness leading to (diaphragmatic) paralysis and deathTwo kinds of poisonings result in pin point pupil i.e. Opioids Poisoning and Organophosphate Poisoning